True about torsion of testis is all except:
1. Presents with sudden pain in testis
2. Commonly associated with pyuria
3. Doppler U/S shows decreased blood flow to the testis
4. Simultaneous orchidopexy of the other side should also be done

Correct answer: 2. Commonly associated with pyuria

Explanation: Ans. (b) Commonly associated with pyuriaRef: Smith 17th Edition, Page 704* Epididymo orchitis is associated with pyuria* Torsion has nothing to do with pyuriaAbnormalities predisposing to torsion of testis* Bell Clapper deformity: High investment of tunica vaginalis - testis hangs like a clapper in bell.* Inversion of testis: Most common predisposing factor* Separation of epididymis from body of testis